Parent alcohol in carbohydrates is :
1. Glycerol
2. Ethanol
3. Methanol
4. Cholesterol

Correct answer: 1. Glycerol

Explanation: Parent alcohol in carbohydrates is Glycerol. Parent carbohydrate, which gives rise to all other carbohydrates. Eg D-Glyceraldehyde. Most abundant organic molecule in nature: Carbohydrates Most abundant monosaccharide in nature: D-Glucose Minimum number of carbons possible in a Carbohydrate is 3. Minimum number of 'OH' group possible in a Carbohydrate is 2. Minimum number of functional groups possible in a Carbohydrate is 1.